In nephrotic syndrome all of the following proteins are reduced EXCEPT:
1. Transferrin
2. Albumin
3. Fibrinogen
4. Ceruloplasmin

Correct answer: 3. Fibrinogen

Explanation: Fibrinogen REF: Harrison's 17''' ed p. 1789/1790 Proteins increased in nephrotic syndrome [?] Fibrinogen [?] Lipoproteins ( due to increased synthesis ) Proteins decreased in nephrotic syndrome [?] Albumin [?] Transferrin [?] Cholecalciferol binding protein [?] Thyroxin binding globulin